Ragi is richest source of -
1. Carbohydrates
2. Iron
3. Calcium
4. Proteins

Correct answer: 3. Calcium

Explanation: Ragi contain 344mg of calcium per 100g of ragi. REF. PARK'S TEXTBOOK OF PREVENTIVE AND SOCIAL MEDICAL 21ST EDITION. PAGE NO - 628